Which of the foliowingmay present with isolated prolongation of prothrombin time (PI>
1. Factor VIiI deficiency
2. FActor VII deficiency
3. Factor XII deficiency
4. Factor IX deficiency

Correct answer: 2. FActor VII deficiency

Explanation: Ans. is 'b' i.e., Factor VII deficiency o Factor VII deficiency may present with isolated prolongation of prothrombin time.Cause of Isolated prolongation of PT (CMDT)# Vitamin K deficiency# Warfarin therapy# Liver disease# Factor VII deficiency